Proportion of area from middle of curve to +1 standard deviation-
1. 0.68
2. 0.17
3. 0.12
4. 0.34

Correct answer: 4. 0.34

Explanation: Ref:Parks 23rd edition pg 849. 1SD : confidence limit = 68% 2SD : confidence limit = 95% 3SD : confidence limit = 99.7% +/- 1SD: includes 68% of values, so +1SD will include half of it = 34%